A 83-year-old retired navy general shows improvement in claudication following aortoiliac bypass surgery. What is the factor that would cause the greatest concern over the possibility of developing cardiac complications? SELECT ONE.
1. History of angina and prior MI
2. Left ventricular ejection fraction of over 50%
3. Aortic stenosis
4. Signs of left ventricular failure

Correct answer: 4. Signs of left ventricular failure

Explanation: The single most serious prognostic sign for adverse changes after vascular surgery is the presence of CHF. Every effort must be made to correct pulmonary congestion and improve left ventricular function before undertaking elective procedures. MI occurring within 3 months before operation carries a high mortality rate that will be reduced by delaying surgery for 3-6 months when possible.